Modafinil is used as an adjunct in the treatment of?
1. Sleep apnea syndrome
2. Narcolepsy
3. ADHD
4. Shift work disorder

Correct answer: 1. Sleep apnea syndrome

Explanation: Ans. (a) Sleep apnea syndrome Ref'.Harrison's 18/e, ch 27 Sleep apnea syndrome-Modafinil is used as an adjunct Narcolepsy- Modafinil is drug of choice